Superficial perineal muscles include -a) Superficial transverse perineib) Bulbospongiosusc) Ischiocavernosusd) Iliococcygeuse) Pubococcygeus
1. ab
2. bc
3. acd
4. abc

Correct answer: 4. abc

Explanation: Muscles in superficial perineal space.
-        Ischiocavernosus
-        Bulbospongiosus
-        Superficial transverse perinei